Which of the following indicates 'flipping effect'?
1. LDH2> LDH1
2. LDH1> LDH2
3. LDH2> LDH3
4. LDH2> LDH4

Correct answer: 2. LDH1> LDH2

Explanation: - LDH2>LDH1 (normal) - Myocardial infarction (LDH1>LDH2) - LDH1 is the last enzyme that increases in person suffering from myocardial infarction - Triphenyl tetrazolium (TTC) chloride reacts with LDH1 - In normal individual TTC gives brick red color - In ischemia induced infarction there is leakage of LDH enzyme and therefore same chemical TTC gives yellowish pale appearance (myocardial infarction)